The complication of Colles' fracture is
1. Radial nerve palsy
2. Stiffness of wrist joint
3. Ulnar nerve palsy
4. None of the above

Correct answer: 2. Stiffness of wrist joint

Explanation: B i.e. Stiffness of wrist